Blood bags after blood transfusion are disposed in
1. Red bag
2. Yellow bag
3. White container
4. Blue bag

Correct answer: 2. Yellow bag